All are `celsus' signs of inflammation except ?
1. Pain
2. Swelling
3. Cyanosis
4. Redness

Correct answer: 3. Cyanosis

Explanation: Ans. is 'c' i.e., Cyanosis Inflammation "Inflammation is a series of molecular and cellular responses to eliminate foreign agents or damaged (necrotic) cells and to promote repair of damaged tissues". Inflammation is fundamentally a protective response, the purpose of which is to destroy the damaging agent, initiate repair processes and return the damaged tissue to useful function. In the absence of inflammation, wounds and infection will never heal and progressive destruction of the tissues would compromise the survival of organisms. However, inflammation and repair may be potentially harmful, i.e., inflammation can damage healthy host tissues also e.g., in RA, interstitial lung fibrosis, atherosclerosis. Inflammation is divided into acute and chronic patterns : ? 1. Acute inflammation 0 Rapid in onset Of relatively short duration. Main characteristics are the exudation of fluid & plasma proteins (edema) and the emigration of neutrophils. Cardinal signs of inflammation are characteristic of acute inflammation. Celsus' four cardinal signs of inflammation are - i) Rubor --> Redness (due to vasodilatation of small blood vessels) ii) Tumor Swelling (due to exudation of fluid) iii) Color --> Heat (due to increased blood flow i.e., hypermia which is caused by vasodilatation). iv) Dolor --> Pain (Due to stretching of tissue from edema and also from chemical mediators, bradykinin) A fifth clinical sign was added later by Virchow v) Functio laesa --> Loss of function 2. Chronic inflammation Slow in onset Of longer duration Characterized by presence of lymphocytes & macrophages the proliferation of blood vessels, fibrosis and tissue necrosis. Signs of acute inflammation (i.e., Cardinal signs of inflammation) are not present.